Hepatotoxic drugs are :  a) Chloroform b) Ether (diethyl) c) N2O d) Halothane  e) Enflurane
1. bc
2. ad
3. cd
4. de

Correct answer: 2. ad